In Galen's anastomosis, superior laryngeal nerve pierces inferior constrictor of pharynx and unites with
1. Superior laryngeal nerve of opposite side
2. Descending branch of RLN
3. Ascending branch of RLN
4. Glossopharyngeal nerve

Correct answer: 3. Ascending branch of RLN

Explanation: GALEN'S ANASTOMOSIS: Superior laryngeal nerve ends by piercing inferior constrictor of pharynx and unites with ascending branch of recurrent laryngeal nerve. This is called as Galen's anastomosis & is purely sensory.